Which of the following is best radiograph to diagnose a growth in the maxillary sinus?
1. Lateral cephalogram
2. PA view of skull
3. Water's view
4. Reverse Towne's view

Correct answer: 3. Water's view